Most common cause of Traveller's diarrhoea :
1. Enterotoxigenic E. coli
2. Enterohemorrhagia E. coli
3. Enteropathogenic E. coli
4. Enteroinvasive E. coli

Correct answer: 1. Enterotoxigenic E. coli

Explanation: Ans. is 'a' i.e. Enterotoxigenic E. coli Most common cause of traveller's diarrhoea - Enterotoxigenic E. coli Harrison states "The most frequently identified pathogen causing traveller's diarrhoea is toxigenic Escherichia coli." Most common cause of traveller's diarrhoea - Toxigenic E.coli Most common cause of traveller's diarrhea in - CampylobacterSouth East Asia and Africa Most common viruses associated with traveller's - Rotavirus and Norovirus diarrhea